The embryonic development of the vestibule of the vagina is from which of the following developmental structures?
1. Genital ridge
2. Wolffian duct
3. Urogenital sinus
4. Mullerian duct

Correct answer: 3. Urogenital sinus

Explanation: Clitoris develops from three swellings of the somato-pleurae known as genital tubercle, urogenital folds and labioscrotal folds, while urethra, vestibule and lower vagina are derived from the urogenital sinus.